All of the following agents are used in the treatment of alcohol dependence except:
1. Flumazenil
2. Acamprosate
3. Naltrexone
4. Disulfiram

Correct answer: 1. Flumazenil

Explanation: Flumazenil (Benzodiazepine receptor antagonist) --> It is used in benzodiazepine overdose. Disulfiram- Aversive agents Acamprosate- Anticraving agent Naltrexone- Anticraving agent